Bactericidal drugs in ATT are : a) Pyrazinamide b) Ethambutol c) PAS d) Rifampicin e) Isoniazid
1. ace
2. abc
3. bce
4. ade

Correct answer: 4. ade